Repeated Transcranial Magnetic Stimulation (rTMS) of the brain is used in the treatment of -
1. Depression
2. Resistant Schizophrenia
3. Obsessive-Compulsive Disorder
4. Acute Psychosis

Correct answer: 1. Depression

Explanation: Somatic Therapies for depression

Electroconvulsive therapy (FDA approved)
Vagus Nerve Stimulation (VNS) (FDA approved)
Repeated Transcranial Magnetic Stimulation (rTMS) of the brain has recent FDA approved
Deep Brain Stimulation (DBS)
Phototherapy